Myaesthenia gravis is diagnosed by (REPEAT)
1. Succinylcholine
2. Neostigmine
3. Atropine
4. Tensilon

Correct answer: 4. Tensilon

Explanation: Tensilon is also known as edrophonium .as it is short acting it is used to diagnose or differentiate the cause of muscle paralysis-cholinergic vs myasthenia crisis Ref: KDT 6th ed pg 104